True about Mooren's ulcer:
1. Painless
2. Affects cornea
3. Sudden loss of vision
4. Bilateral in majority of cases

Correct answer: 2. Affects cornea

Explanation: Mooren's ulcer Affects cornea Painful condition Slow loss of vision Mostly unilateral Peripheral corneal ulceration Clear cut overhanging edge seems to be melting from periphery